A veterinary doctor had pyrexia of unknown origin. His blood culture in special laboratory media was positive for gram-negative short bacilli which were oxidase positive. Which one of the following is the likely organism grown in culture
1. Pasteurella spp
2. Francisella spp
3. Bartonella spp
4. Brucella spp

Correct answer: 4. Brucella spp

Explanation: Brucella- they possess the oxidative capacity. They are Catalase, oxidase, and urease-positive. Mode of infection- 1. Drinking contaminated milk. 2. Direct contact with infected animal tissue 3. Accidental ingestion, inhalation, injection and mucosal contamination. Francisella infection occurs by handling or eating infected meat or drinking contaminated water. Pasteurella - human infection is rare but it may cause septic wound following an animal bite Ref: Textbook of microbiology; Ananthanarayan and paniker's; 10th edition; Pg:346 .